Following may be premonitary symptoms of tetanus except -
1. Sleeplessness
2. Anxious expression
3. Urinary incontinence
4. Headache

Correct answer: 3. Urinary incontinence